Type I hypersensitivity is mediated by which of the following immunoglobulins?
1. Ig A
2. Ig G
3. Ig M
4. Ig E

Correct answer: 4. Ig E

Explanation: Type I hypersensitivity reaction is IgE dependent. Cytotoxic IgE antibodies are fixed on the surface of tissue cells ( mast cells and basophils) in sensitized individuals. The antigen combines with the cell fixed antibody, leading to release of pharmacologically active substance that produces the clinical reaction. Reference : Anathanarayan & paniker's 9th edition, pg: 162